Cyclophosphamide can cause :
1. Hemorrhagic cystitis
2. Cardiomyopathy
3. Neuropathy
4. Convulsions

Correct answer: 1. Hemorrhagic cystitis